Maximum cardiac output in pregnancy is at:
1. 20 weeks
2. 24 weeks
3. 26 weeks
4. 28 weeks

Correct answer: 4. 28 weeks

Explanation: Ans. is d, i.e. 28 weeksRef. William 24/e, p 59The following graph of Williams shows cardiac output during pregnancy and labor.As is clear from the graph cardiac output is maximum at 28-32 weeks of gestation.Note: At term cardiac output is less in comparison to 28-32 weeks.